True about Erythema Marginatum in Acute Rheumatic fever is:
1. Pruiritic
2. Commonly involves face
3. Common manifestation of Acute Rheumatic fever
4. Usually associated with carditis

Correct answer: 4. Usually associated with carditis

Explanation: Answer is D (usually associated with carditis) Erythema marginatum and sub cutaneous nodules are usually associated with carditis manifestation Erythema marginatum is a rare (< 3%) manifestation of Acute Rheumatic fever. Rash is charachteristically non pruiritic and almost never involves the face.